Spontaneous vertical nystagmus is seen in the lesion of
1. Mid brain lesion
2. Labyrinth
3. Vestibule
4. Cochlea

Correct answer: 1. Mid brain lesion

Explanation: Vertical downbeat nystagmus indicates lesion at craniocervical region such as Arnold-Chiari malformation or degenerative lesion of the cerebellum. Vertical upbeat nystagmus is seen in lesions at the junction of pons and medulla or pons and midbrain. Ref: Dhingra 7e pg 43.